Biological value is used for assessment of ?
1. Fat quality
2. Protein quality
3. Carbohydrate quality
4. None

Correct answer: 2. Protein quality

Explanation: An s. is 'b' i.e., Protein quality Assessment of protein Protein quality Amino acid score Biological value Net protein utilization Protein efficiency ratio Protein quantity Protein energy ratio